First line Treatment of Abnormal Uterine bleeding is
1. Versapoint
2. Novasure
3. Medical mangement
4. Surgical management

Correct answer: 3. Medical mangement

Explanation: Managment of Abnormal uterine bleeding Medical management is the first line treatment, If medical therapy fails or is contraindicated, consider Mirena IUCD. If Mirena fails or side effects develop, go for ablative techniques. When the above methods fail, consider hysterectomy Versapoint- Bipolar electrosurgical system works in normal saline, is cheap, has excellent haemostasis NovaSure Impedance-controlled endometrial ablation is the latest and most safe procedure, taking just 90 sec. It uses bipolar radiofrequency and vaporizes endometrium upto myometrium.